A 32 year old male with history of seizures with pain in left shoulder region, left upper limb is addicted and internally rotated, what is the diagnosis
1. Anterior dislocation of shoulder
2. Posterior dislocation of shoulder
3. Inferior dislocation of shoulder
4. Impingement syndrome

Correct answer: 2. Posterior dislocation of shoulder